Tuft of hair over the lumbosacral region in a new born is suggestive of ?
1. Spina bifida occulta
2. Sinus tract
3. Tumor
4. Any of the above

Correct answer: 4. Any of the above

Explanation: Ans. d. Any of the aboveTufts of hair over the lumbosacral spine suggest an underlying abnormality, such as occult spina bifida, a sinus tract, or a tumor.